A patient develops red eye, 2 two days after an episode of malaria Probable cause is -
1. Conjunctivitis
2. Anterior uvelitis
3. Viral keratitis
4. Endophthalmitis

Correct answer: 3. Viral keratitis